White vitriol is -
1. Lead sulphate
2. Zinc phosphate
3. Copper sulphate
4. Zinc sulphate

Correct answer: 4. Zinc sulphate

Explanation: Zinc sulphate:White vitriol * Colourless crystalline salt REF;THE SYNOPSIS OF FORENSIC MEDICINE:KS NARAYANA REDDY;28th EDITION;PAGE NO 311